Following muscles are the abductors of eye except
1. Superior oblique
2. Superior rectus
3. Inferior oblique
4. Lateral rectus

Correct answer: 2. Superior rectus

Explanation: Superior rectus The superior rectus muscle is one of the extraocular muscles. It is innervated by the superior division of the oculomotor nerve. In the primary posi on (looking straight ahead), the superior rectus muscle's primary func on is eleva on, although it also contributes to intorsion and adduc on. Superior oblique: The primary ac on of the superior oblique muscle is intorsion; the secondary ac on is depression (primarily in the adducted posi on); the ter ary ac on is abduc on (DOI). Both the obliques are abductors